Orchidectomy is not done in -
1. Prostate cancer
2. Seminoma testes
3. Filarial epididemo-orchitis
4. Male breast cancer

Correct answer: 3. Filarial epididemo-orchitis

Explanation: Flarial epididymoorchitis is tit with a course of Diethylcarbamazine 6 mg/kg/day along with antibiotics and anti-inflammatory drugs.
Seminoma testis and Prostatic Ca are well known indications of orchiectomy. Orchiectomy in seminoma testis is curative as well as diagnostic, while in prostate Ca it is palliative (B/L orchiectomy is done for androgen ablation). " Orchiectomy is also done in male breast cancer to induce remission of metastatic ds." - Schwartz, 7/e p591.